Phenylalanine is the precursor of all the following except
1. Tyrosine
2. Epinephrine
3. Thyroxine
4. Melatonin

Correct answer: 4. Melatonin